Early adolescent age is:
1. 8-11 years
2. 10-13 years
3. 14-15 years
4. 16-19 years

Correct answer: 2. 10-13 years

Explanation: Adolescent group Early Mid Late Age 10-13 years 14-16 years 17-19 years